Septic arthritis is caused by:
1. N.gonorrhoea
2. E.coli
3. Mycobacterium tuberculosis
4. All of the above

Correct answer: 4. All of the above

Explanation: Ans: d (All of the above) Ref: Bailey, 24,h ed, p. 420All the given organisms can cause septic arthritis in different age groups.Most common cause of septic arthritis - Staph aureus (in all age groups)More common in neonates- E. coli& Group B. StreptococciSickle cell anemia patients are susceptible to salmonella arthritis.Aerobic gram negative organisms cause discitis in elderly.Brucella & Mycobacterium TB are common in tropics.